Most commonly used scalpel blade for intraoral surgery is:
1. No.15
2. No.11
3. No.12
4. No.10

Correct answer: 1. No.15

Explanation: Most commonly used scalpel blade for intraoral surgery – No. 15
The blade used primarily for making small stab incisions, such as for incising an abscess – No. 11
Blade commonly used for skin incisions – No. 10 blade
The hooked blade commonly used for mucogingival procedures – No. 12 blade
The blades commonly used in gingivectomy – No. 11 and 12
The blade used for incising periodontal abscess – No. 12